Which of the following is true for phosphofructokinase?
1. It uses Fructose 1,6 bisphosphate as substrate.
2. It generates ATP
3. It catalyses an irreversible reaction in glycolysis
4. It is activated by increased levels of ATP and citrate.

Correct answer: 3. It catalyses an irreversible reaction in glycolysis

Explanation: Phosphofructokinase catalyses the first committed step of glycolysis. It is the rate limiting enzyme of glycolysis. The reaction is irreversible.